All of the following statement are true about Frey's syndrome except:-
1. Gustatory sweating
2. Aberrant misdirection of sympathetic fibers of auriculotermporal nerve
3. Botulinum toxin is one of the treatments suggested
4. Less chances with enucleation than parotidectomy

Correct answer: 2. Aberrant misdirection of sympathetic fibers of auriculotermporal nerve

Explanation: Frey's syndrome is aberrant misdirection of Parasympathetic fibres of auriculotemporal nerve- not sympathetic fibres. Frey's syndrome A.K.A gustatory sweating (or) Auriculotemporal syndrome When a parotidectomy is performed if damage is occurred to secretomotor parasympathetic fibres of parotid gland that arises from auriculotemporal nerve. Due to this there is an aberrant cross innervation between secretomotor fibres of parotid gland and sympathetic fibres of sweat glands occurs. Which upon gustatory stimulation makes the patient sweat in the cheek region rather having increased salivation Diagnosis: - Minors Starch Iodine test Management: Anti-perspirant application Inj. Botulinum toxin - Most effective t/t Tympanic neurotomy